Gluten free diet is use in
1. Celiac disease
2. Tropical sprue
3. Ulcerative colitis
4. Irritable bowel syndrome

Correct answer: 1. Celiac disease

Explanation: Ans. is 'a' i.e., Celiac disease